Most common clinical presentation of juvenile myoclonic epilepsy -
1. Generalised tonic clonic seziures in sleep
2. Generalised tonic clonic seizures in awake state
3. Myoclonus
4. Absence seizures

Correct answer: 3. Myoclonus